Fluoride inhibits which enzyme
1. Aldolase
2. Succinate dehydrogenase
3. Pyruvate kinase
4. Enolase

Correct answer: 4. Enolase

Explanation: Ans. is 'd' i.e. Enolase Enolase is an enzyme of glycolytic pathway catalyzing this step-2-phosphoglycerate = Phosphoenolpyruvate + H2O"Enolase is inhibited by fluoride, a property that can he made use of when it is required to prevent glycolysis in blood prior to the estimation of glucose."